Onion peel appearance in X-ray suggests
1. Osteogenic sarcoma
2. Ewings sarcoma
3. Osteoclastoma
4. Chondrosarcoma

Correct answer: 2. Ewings sarcoma

Explanation: Onion peel appearancne Typical of ---Ewings sarcoma May also be seen in ----Osteosarcoma and osteomyelitis Refer Campbell 13th/e p 953